In echocardiography pulses of of ultrasonic waves are admitted at a frequency of
1. 1 megahertz
2. 2 megahertz
3. 20 Hertz
4. 2000 Hertz

Correct answer: 2. 2 megahertz

Explanation: In echocardiography pulses of ultrasonic waves at a frequency of 2.25 megahertz are admitted from a transducer that also functions as a receiver as a receiver to detect waves reflected back from various parts of the heart. Ref:page no 347 Textbook of physiology Volume 1 AK Jain 7th edition